All the following are premalignant except
1. Acnitic solar keratosis
2. Bowens disease
3. Bowenoid papulosis
4. Rhinophyma

Correct answer: 4. Rhinophyma

Explanation: Actinic keratosis is a precancerous condition of the skin. Precancerous conditions of the skin are changes to the skin cells that make them more likely to develop into cancer. Actinic keratosis is not yet cancer. The most common precancerous skin lesions are actinic keratoses, Bowen's disease, and keratoacanthoma. Actinic keratoses appear over the exposed areas of the body as the result of actinic radiation. Bowen's disease is most probably secondary to the effects of internal carcinogens Premalignant lesions of the penis include cutaneous horn, balanitis xerotica obliterans, and leukoplakia. The true incidence of progression of each of these to squamous-cell carcinoma is unknown. Bowenoid papulosis, erythroplasia of Queyrat, and Bowen's disease are histologically identical to in situ carcinoma Ref Harrison20th edition pg 1345